The concentration of adrenaline used with lignocaine?
1. 1.430555556
2. 1:10,000
3. 1:20,000
4. 1:2,00,000

Correct answer: 4. 1:2,00,000

Explanation: 1 in 1 lakh to 2 lakh parts (5mcg/ml) is the mixing of adrenaline with lignocaine in local anesthesia. In dental procedures: 1: 50000 to 1lakh.Ref: KK Sharma 3rd ed. Pg: 222.